Which of the following antidepressant most commonly associated with discontinuation syndrome?
1. Vilazodone
2. Venlafaxine
3. Amitryptaline
4. Imipramine

Correct answer: 2. Venlafaxine

Explanation: All antidepressants can cause discontinuation syndrome, but Venlafaxine is most commonly associated with it.